Hallucination is disorder of:
1. Perception
2. Thought
3. Memory
4. Intelligence

Correct answer: 1. Perception

Explanation: Ans. Perception